Colonoscopy as a part of screening is not needed in.
1. MEN 2 syndrome
2. Lynch
3. FAP
4. Cronkhite Canada

Correct answer: 1. MEN 2 syndrome

Explanation: Ans. (a) MEN 2 syndromeRef Bailey and Love 27th edition, Page 1259* MEN2B syndrome is not associated with colorectal cancers.; FAR HNPCC, Cronkhite, Banayan, all these syndromes; have associated colorectal cancers.